EBV receptor located on surface of B cells is ?
1. CD21
2. CD22
3. CD23
4. CD24

Correct answer: 1. CD21

Explanation: Ans. is 'a' i.e., CD21 Pathogenesis of EBV infection EBV is transmitted by salivary secretions. The virus infects the epithelium of the oropharynx and the salivary glands and is shed from these cells. EBV infection of epithelial cells results in viral replication and production of virions. The EBV receptor (CD21) is located on surface of B cells. This is also the receptor for the C3d component of complement. When B cells are infected by EBV in vitro, they become transformed and can proliferate indefinitely. Memory B cells are the reservoir for EBV in the body. When patients are treated with acyclovir, shedding of EBV from the oropharynx stops but the virus persists in B cells.